All of the following are predictable adverse effects of tricyclic antidepressants, EXCEPT:
1. Decrease in seizure threshold
2. Weight gain
3. Insomnia
4. Dry mouth

Correct answer: 3. Insomnia

Explanation: Tricyclic antidepressants produce sedation rather than arousal. Use of tricyclics can be therapeutic for insomnias associated with depression. Other effects include antimuscarinic effects (dry mouth, blurred vision, tachycardia, urinary retention), a-adrenergic effects (orthostatic hypotension), weight gain, and a decrease in seizure threshold, which means that patients are more susceptible to having seizures. Ref: O'Donnell J.M., Shelton R.C. (2011). Chapter 15. Drug Therapy of Depression and Anxiety Disorders. In L.L. Brunton, B.A. Chabner, B.C. Knollmann (Eds),Goodman & Gilman's The Pharmacological Basis of Therapeutics, 12e.